Spironolactone is contraindicated with which of the following drugs?
1. Enalapril
2. Atenolol
3. Verapamil
4. Chlorthiazide

Correct answer: 1. Enalapril

Explanation: Ans. (A) Enalapril(Ref: KDT 8/e p635)*Spironolactone is a K+ sparing diuretic. It should be used cautiously if the patient is receiving K+ salts or drugs increasing serum K+ levels.*ACE inhibitors can also cause hyperkalemia as an adverse effect. If these are combined with K+ sparing diuretics, cardiac arrhythmia due to high serum K+ levels may develop.